In Barrett esophagus, esophageal lining is changed to:
1. Squamous epithelium
2. Columnar epithelium
3. Pseudostratified epithelium
4. None of the above

Correct answer: 2. Columnar epithelium

Explanation: Barrett esophagus is a metaplasia of the esophageal mucosa caused by the replacement of the squamous epithelium with columnar epithelium.